A patient approaches you with multiple infected bite wounds to the shoulder. There are also a few scratch marks on his back. He confess you that he has raped a woman a few weeks ago but has asked you to keep it a secret. He warns you that he would sue you for breach of professional secrecy if you inform anyone. What is the appropriate response in this scenario?
1. Treat the patient and keep the information a secret
2. Refused to treat the patient and inform the police
3. Treat the patient and inform the police immediately
4. Treat the patient and inform the police after his wounds have healed

Correct answer: 3. Treat the patient and inform the police immediately

Explanation: As per section 3a, CrPC and section 176 IPC the doctor is duty bound to report such matters (crimes) to the nearest magistrate or police. Failing to do so intentionally is punishable by imprisonment as per section 202 of IPC. Since an infected bite wound can sepsis and death. Its essential to treat the wounds in this case. Ref: Textbook of Forensic Medicine and Toxicology by Narayan Reddy, Edition 21, Page - 28,29